Class IV Kennedy Classiﬁcation is:
1. Bilateral edentulous area located posterior to the remaining natural teeth.
2. Unilateral edentulous area located posterior to the remaining natural teeth.
3. Unilateral edentulous area with natural teeth remaining both anterior to the  remaining natural teeth and posterior to it.
4. A single but bilateral (crossing the midline) edentulous area located anterior to the  remaining natural teeth.

Correct answer: 4. A single but bilateral (crossing the midline) edentulous area located anterior to the  remaining natural teeth.

Explanation: The following is the Kennedy classification:
Class I: Bilateral edentulous areas located posterior to the natural teeth.
Class II: A unilateral edentulous area located posterior to the remaining natural teeth.
Class III: A unilateral edentulous are with natural teeth remaining both anterior and posterior to it.
Class IV: A single, but bilateral (crossing the midline), edentulous area located anterior to the remaining natural teeth.
Ref: McCrackens Removable Partial Denture Ed 13th Pg 17